The mandibular labial frenum is a fibrous band that can be influenced by
1. Incisivus
2. Orbicularis oris
3. Caninus and incisivus
4. Incisivus and orbicularis oris

Correct answer: 4. Incisivus and orbicularis oris